A female patient with signs of meningitis and CSF showing gram positive coccobacilli, which is showing characteristic tumbling motility. Diagnosis is -
1. Listeria
2. Meningococcus
3. H. influenzae
4. Pneumococcus

Correct answer: 1. Listeria